In right handed person, Direct Laryngoscope is held by which hand?
1. Left
2. Right
3. Both
4. Either of these

Correct answer: 1. Left

Explanation: Ans is 'a' i.e. Left "Laryngoscope is held by the handle in the left hand. Right hand is used, to retract the lips and guide the laryngoscope and to handle suction and instruments. Dhingra